The Child-Turcotte-Pugh (CTP) score is used for:
1. Cirrhosis
2. Hepatocellular carcinoma
3. Biliary atresia
4. None of the above

Correct answer: 1. Cirrhosis

Explanation: The Child-Turcotte-Pugh (CTP) score was originally developed to evaluate the risk of portocaval shunt procedures secondary to portal hypertension and subsequently has been shown to be useful in predicting surgical risks of other intra-abdominal operations performed on cirrhotic patients. Ref: Schwartz's principle of surgery 9th edition, chapter 31.